Case-control study is a type of -
1. Descriptive epidemiological study
2. Analytical study
3. Longitudinal study
4. Experimental epidemiological study

Correct answer: 2. Analytical study

Explanation: Ans. is 'b' i.e., Analytical study